Gas used in retinal tamponade:
1. SF6 (sulfur hexafluoride)
2. Ethylene oxide
3. Nitrous oxide
4. CO2

Correct answer: 1. SF6 (sulfur hexafluoride)

Explanation: Ref: Kan ski Clinical Ophthalmology, 6th edition. Pages 727-728; Modern Ophthalmology, 3rd edition. L.C. Dutta, Pages 1753-1755Explanation:INDICATION FOR TAMPONADES1 To achieve the retinal flattening by replacing the vitreous.2 To drain the subretina] fluid.3 To provide the internal tamponade of retinal breaks during the postoperative period.TypesExpanding gases:GasesExpansion at 100%Duration of actionConcentration used %Sulphur Hexachloride(SF6)2 times10-14 days20-30%Perlluorethane (C2F6)3 times32-35 days Perlluiropropane (C3F8)4 times55 -65days12-16%Indication: Superior retinal breaks (Gas will be floating).Post operative: Patient must maintain a particular head position to prevent pupillary block glaucoma and to give the appropriately directed buoyancy effect.Silicone Oil: Low specific gravity.Acts as tamponade, prevents migration of proliferative cells and biochemical mediator like VEGF within the vitreous cavity and provides hemostasis during surgery.Complication:Emulsification - Inverse hypopyon (the emulsified silicone oil is called hyperleon).Cataract.Glaucoma.Perfluorocarbon LiquidsHigh specific gravity - it sinks.Uses: Displaces the subretinal fluid, unfolds the Hup during surgeries. Hence it is also called as Third Hand.E.g. Perfluorobutylamine, perfluoron octane, perfluorodecalen.